Longest pathogenic Bacillus species is
1. Bacillus subtilis
2. Bacillus cereus
3. Bacillus anthracis
4. Bacillus megaterium

Correct answer: 3. Bacillus anthracis

Explanation: Longest pathogenic Bacillus species is Bacillus anthracis (1.2 mm width and 3-5mm long). B. anthracis causes anthrax Largest known Bacillus species is B. megaterium, (1.5 mm width and 4 mm long).